Drug of choice for Hairy cell leukemia
1. Methotrexate
2. Gemcitabine
3. Cladribine
4. Decitabine

Correct answer: 3. Cladribine

Explanation: Cladribine is a purine analogue, which is  DOC for Hairy cell leukemia.